Testamentary capacity refers to
1. Ability to make a valid will
2. Criminal liability
3. Right to vote
4. Ability to give evidence

Correct answer: 1. Ability to make a valid will

Explanation: Ans. (A). Ability to make a valid will(Ref: KSN Reddy, Essentials of Forensic Medicine & Toxicology, 33rd Ed., P. 493)Testamentary capacityQMental Ability of a person to make a valid willHolograph willQWritten by the testator in his own hand writingSomnambulismSleep walkingSomnolentiaSleep - drunkenness - midway between sleep and walking, he may commit some crime due to confusion of the mind